A person is diagnosed to be a diabetic on his 45th birthday. You will recommend a dilated fundoscopic examination:
1. Immediately
2. Before his 50th birthday
3. When he turns 50 years of age
4. When he complains dimness of vision

Correct answer: 1. Immediately

Explanation: Ans. a. Immediately